Incubation period of syphilis -
1. 1 hour - 5 hour
2. 24 hour - 48 hour
3. 1 days - 10 days
4. 10 days - 90 days

Correct answer: 4. 10 days - 90 days